All the statement are true regarding coagulative necrosis except:
1. It is most common type of necrosis
2. Ischemia can leads to coagulative necrosis
3. Appear as tomb stone appearance of affected tissue
4. Cheese like appearance of the affected tissue

Correct answer: 4. Cheese like appearance of the affected tissue

Explanation: Coagulative necrosis is the most common subtype of necrosis. Cell outline is maintained (Tomb stone appearance). Most common cause of Coagulative necrosis is Ischemic Hypoxia. Localized area of Coagulative necrosis is called an Infarct. Ex: - Ischemia to all solid organs except BRAIN. -Thermal injury -Dry gangrene -Zenker's degeneration (muscle necrosis in typhoid fever). Cheese like appearance of the affected tissue is characteristic feature of Caseous Necrosis.